Collagen ------ forms the main part of anchoring fibrils in epithelial tissues
1. VII
2. IV
3. VIII
4. I

Correct answer: 1. VII

Explanation: Ref: Harper's Biochemistry; 30th edition; Chapter 50; The Extracellular Matrix